Crown completion of Mandibular central incisors occur
1. At birth
2. 4-5 years
3. 6-8 years
4. 2-3 years

Correct answer: 2. 4-5 years